Radiographically, the normal horizontal plane of alveolar bone interdentally is related to
1. Cemento enamel junction of adjacent teeth
2. Epithelial attachment of adjacent teeth
3. Trabecular pattern of bone
4. All of the above

Correct answer: 1. Cemento enamel junction of adjacent teeth